Function of IgA is -
1. Acts as a mucosal barrier for infection
2. Circulating antibody
3. Kills virus infected cells
4. Activates macrophages

Correct answer: 1. Acts as a mucosal barrier for infection

Explanation: Ans. is 'a' i.e., Acts as a mucosal barrier for infection Secretory IgA is selectively concentrated in secretions and on mucus surfaces forming an 'antibody paste' and is believed to play an important role in local immunity against respiratory and intestinal pathogens.